Barrette's oesophagus is diagnosed by
1. Squamous metaplasia
2. Intestinal metaplasia
3. Squamous dysplasia
4. Intestinal dysplasia

Correct answer: 2. Intestinal metaplasia

Explanation: (B) Intestinal metaplasia # Barrett's esophagus is a serious complication of GERD.> In Barrett's esophagus, normal tissue lining the esophagus changes to tissue that resembles the lining of the intestine(columnar epithelium).> Barrett's esophagus is marked by the presence of columnar epithelia in the lower esophagus, replacing the normal squamous cell epithelium--an example of metaplasia.